What is the most common congenital anamoly of urethra?
1. Epispadias
2. Hypospadias
3. Urethral stenosis
4. Posterior urethral value

Correct answer: 2. Hypospadias